Prosopagnosia is-
1. Inability to recognise faces
2. Inability to know time
3. Inability to recognise places
4. None of the above

Correct answer: 1. Inability to recognise faces